What are Rosenthal fibres?
1. Intracytoplasmic inclusions
2. Intra nuclear inclusions
3. In extracellular matrix accumulates
4. Part of cell cytoskeletal framework

Correct answer: 1. Intracytoplasmic inclusions

Explanation: Rosenthal fibres are brightly eosinophilic intracytoplasmic inclusion found in pilocytic Astrocytoma.